The hyperpolarization phase of the action potential is due to?
1. Opening of voltage-gated Cl- channels
2. Prolonged opening of voltage-gated K+ channels
3. Closure of resting Na-t- channels
4. Closure of Cl- channels

Correct answer: 2. Prolonged opening of voltage-gated K+ channels

Explanation: ANSWER: (B) Prolonged opening of voltage-gated K+ channelsREF: Guyton's physiology 12th ed page 61, BRS physiology 4th ed page 11See Physiology 2013 Session 2 for "IONIC BASIS OF NERVE ACTION POTENTIAL"